True about Asthma except:
1. Chronic Inflammatory Disease
2. Hyperresponsive airways
3. Necrosis of airways
4. Mucous plug formation

Correct answer: 3. Necrosis of airways

Explanation: Answer is C (Necrosis of airways): Necrosis of Airways is not a feature of Bronchial Asthma Features of Asthma: Chronic inflammatory disorder Chronic inflammatory disorder Hyperresponsiveness of airways (AHR) Airway epithelial shedding Subepithelial fibrosis and thickening of basement membrane Hypertrophy and Hyperplasia of airway smooth muscle Increased mucosal blood flow (vascular congestion) Micro vascular leakage resulting in airway edema and plasma exudation into airway lumen Mucus Hypersecretion and formation of viscid mucus plugs that occlude airways Airway remodelling Defects in autonomic neural control